Biofilms in general have
1. Crystalline structure
2. Stereoline structure
3. Organized structure
4. Disorganized structure

Correct answer: 3. Organized structure